Normally, Cortisol levels are maximum at __________ and lowest at ________
1. 8 pm and eary morning
2. 12 pm and 12 am
3. 8 am and 8 pm
4. 8 am and midnight

Correct answer: 4. 8 am and midnight